III perineal tear is involvement of :
1. Vaginal mucosa
2. Urethral mucosa
3. Levator ani muscle
4. Anal sphincter

Correct answer: 4. Anal sphincter

Explanation: Anal sphincter